1st response to hypoglycemia ?
1. Decreased insulin
2. Increased glucagon
3. Increased cortisol
4. Increased norepinephrinea

Correct answer: 1. Decreased insulin

Explanation: Ans. is 'a' i.e., Decreased insulinDecreased insulin is the first response followed successively by increase in glucagon, epinephrine, cortisol and GH.